pKA=pH when:
1. Solute is completely ionised
2. When the concentration of ionised and unionized form is same
3. Solute is completely unionized
4. All of the above

Correct answer: 2. When the concentration of ionised and unionized form is same

Explanation: Ans. B. When the concentration of ionized and unionized form is sameThis question is an application of Henderson Hasselbalch equation.It ispH=pKa+log/ is concentration of ionised form is concentration of unionised form.When =, thenpH=pKa+log/pH=pKa+log1i.e.pH=pKa+0